The stain used for glycogen -
1. PAS
2. Cango red
3. Prussian blue
4. Alician blue

Correct answer: 1. PAS

Explanation: Stain: Periodic acid-Schiff (PAS) Component/Tissue:Carbohydrates(particularly glycogen),all mucins. Dyes: Periodic acid Schiff reagent(basic fuschin) Interpretation: glycogen and other carbohydrates: magenta nuclei: blue HARSH MOHAN Textbook of pathology 6th edition pg no 12